Dilantin hyperplasia is treated with
1. Gingivectomy
2. Gingivoptasty
3. Apically repositioned flap
4. Curettage

Correct answer: 1. Gingivectomy